All of the following are features of Mobiz type I block except-
1. Constant PR interval
2. Normal QRS morphology
3. Regular atrial rhythm
4. Atrial rate more than ventricular rate

Correct answer: 1. Constant PR interval

Explanation: Type 1 Second-degree AV block, also known as Mobitz I or Wenckebach periodicity, is almost always a disease of the AV node. ... Today, Mobitz I heart block is characterized by progressive prolongation of the PR interval on consecutive beats followed by a blocked P wave (i.e., a dropped QRS complex Ref Harrison 20th edition pg 1443